Tic douloureux is facial pain traveling through the _____ nerve?
1. Facial
2. Hypoglossal
3. Trigeminal
4. Vestibulocochlear

Correct answer: 3. Trigeminal

Explanation: Harrison's principles of internal medicine 17th edition. * Trigeminal neuralgia(Tic douloureux) is characterised by excruciating paroxysms of pain in lips , gums, cheek or chin and very rarely in distribution of ophthalmic division of 5th nerve.